Which is not a feature of Grave's disease?
1. Hyperreflexia
2. Chorea
3. Lid lag sign
4. Late diastolic murmur

Correct answer: 4. Late diastolic murmur

Explanation: There is aortic systolic murmur is due to hyper-dynamic circulation. No diastolic murmur heard The increased thyroid hormones lead to increase in intrinsic sympathomimetic activity. The positive reinforcement of this stimulation leads to brisk reflexes. Concomitant myopathy occurs but minus fasciculations. Chorea is rare but seen. The sympathomimetic action explains lid lag sign due over-activity of Muller's muscle.